Repetitive hand washing is a symptom of:
1. Post-traumatic stress disorder
2. Depression
3. Anorexia nervosa
4. Obsessive compulsive disorder

Correct answer: 4. Obsessive compulsive disorder

Explanation: Ans. (D). Obsessive compulsive disorderRepetitive hand washing is a feature of OCD.Persistent and recurrent thought or emotion that cannot be eliminated from consciousness by reasoning.Insight is present.Disorder of content of thought.Involuntary.